Perioral rash and pigmentation of palmar area and eczematous skin lesions are seen in:
1. Selenium deficiency
2. Zinc deficiency
3. Chromium deficiency
4. Iodine deficiency

Correct answer: 2. Zinc deficiency

Explanation: Ans. B. zinc deficiencyZinc is a component of over 100 metal enzymes and participates in many biological processes. Zinc regulates gene transcription and participates in nucleic acid metabolism, protein synthesis and thereby cellular growth. Zinc deficiency is usually seen as a part of malnutrition or malabsorption syndromes, caused by low dietary intake or intestinal disease. Acrodermatitis enteropathica is an autosomal recessive syndrome of severe zinc deficiency, caused by defective intestinal absorption due to intestinal zinc transporter protein. Presentation in early infancy, with vesicobullous, dry, scaly or eczematous skin lesions chiefly involving the perioral, perineal and acral areas. Alopecia and eye changes such as conjunctivitis, blepharitis and photophobia may be present.